Intrinsic factor of castle is present in:
1. Chief cells
2. Fundus cells
3. Goblet cells
4. Parietal cells

Correct answer: 4. Parietal cells

Explanation: Ans. D. Parietal cellsIntrinsic factor of castle which is also called as IF is secreted by Parietal cells in the antrum of stomach. Main stimulus is gastrin